About Burkitt's lymphoma, true is-
1. CD34 + ve & Surface Ig +ve
2. CD34 + ve & Surface Ig -ve
3. CD34- ve & Surface Ig -ve
4. CD34 -ve & Surface Ig +ve

Correct answer: 4. CD34 -ve & Surface Ig +ve

Explanation: In burkitt lymphoma the B cell surface express IgM ,CD 19, CD20 , CD10, & BCL6 Ref : Robbin pathologic basis of disease pg 597